LANGHERHAN CELL in skin are
1. antigen presenting cell
2. pigment producing cell
3. keratin synthesisng cell
4. sensory neurons

Correct answer: 1. antigen presenting cell

Explanation: Langerhans cells are dendritic cells (antigen-presenting immune cells) of the skin and mucosa, and contain large granules called Birbeck granules. They are present in all layers of the epidermis, but are most prominent in the stratum spinosum.]They also occur in the papillary dermis, particularly around blood vessels,] as well as in the mucosa of the mouth, foreskin, and vagina.